All of the following statements about Wilson's disease are true, Except:
1. Autosomal dominant Inheritance
2. Hemolytic anemia
3. Low serum ceruloplasmin
4. Mutation on Chromosome 13

Correct answer: 1. Autosomal dominant Inheritance

Explanation: Answer is A (Autosomal Dominant Inheritance): Wilson's disease is inherited as an autosomal recessive disorder. Basic defect Wilson's disease is reduced biliary excretion of copper from a mutation of gene on chromosome 13 which promotes copper excretion. Serum ceruloplasmin levels are decreased. Coombs negative haemolytic anemia may be seen. The association of hemolysis and liver disease makes Wilson's Disease a likely diagnosis - Harrison